Callexner bodies are seen in-
1. Dysgerminoma
2. Granulosa cell tumor
3. Thecoma
4. Arrhenoblastoma

Correct answer: 2. Granulosa cell tumor

Explanation: Ans. is 'b' i.e., Granulosa cell tumor Histologic Hallmarks of Ovarian TumorsOvarian TumorHistologic CharactersticSerious Epithelial tumorsPsammoma bodiesClear cell tumorsHobnail cellsBrenner tumorsWalthard cell restsDysgerminomaLarge polygonal cells, lymphocytic infiltration, and fibrous septaTeratomasSkin, teeth, bones, hair, cartilage, neural tissue, and thyroidEndodermal sinus tumorSchiller-Duval bodiesEmbryonal carcinomaEmbryoid bodiesGranulosa cell tumorsCell-Exner bodiesLey dig (hilus) cell tumorsRenke's crystalsKrukenberg tumorSignet ring cellsRadiological features of ovarian tumorsMalignantBenignGenerally BilateralGenerally unilateralMultiocularUnilocularThick septationsAbsent/thin septationsIntracapsular solid areas presentIntracapsular solid areas absent (clear)Papillary growth on capsule presentPapillary growth on capsule absentAscites presentAscites absentLymph nodes enlargedLymph nodes not enlargedOmental caking persentAbsentLow resistance, high flow (increased vascularity)High resistance, low flow